Ilnd constriction in oesophagus is seen at the following site :
1. Where it crosses left main bronchus
2. Crossing of aorta
3. At pharyngoesophageal junction
4. Where it pierces the diaphragm

Correct answer: 2. Crossing of aorta

Explanation: B i.e. Crossing of Aorta